Which enzyme is inhibited by aminophylline ?
1. Monoamine oxidase
2. Alcohol dehydrogenase
3. Phosphodiesterase
4. Cytochrome P 450

Correct answer: 3. Phosphodiesterase